While dispatching blood and urine chemical analysis sodium floride is added as preservative in the following concentration :
1. 30 mg/10m1
2. 40 mg/ 10 ml
3. 50 mg/ ml
4. 100 mg/10 ml

Correct answer: 4. 100 mg/10 ml

Explanation: D i.e. 100mg/10 ml